Glucose is co-transported with Na+ ions. This is a type of
1. Secondary active transport
2. Primary active transport
3. Facilitated diffusion
4. Simple diffusion

Correct answer: 1. Secondary active transport

Explanation: Secondary active transport is one in which there is either co-transport or counter transport due to electrochemical potential difference that is created by pumping the ions in and out of the cell. Please note that there is no direct coupling of ATP in the process.